Whitfield's ointment consists of -
1. 3% salicylic acid + 6% benzoic acid
2. 3% benzoic acid + 6% salicylic acid
3. 2% salicylic acid + 4% benzoic acid
4. 2% benzoic acid + 4% salicylic acid

Correct answer: 1. 3% salicylic acid + 6% benzoic acid

Explanation: WHITFIELD'S ointment:-3% salicylic acid + 6% benzoic acid. It is used as antifungals and keratolytic iadvl textbook of dermatology page 252